True about isthmus are all except :
1. Measures 20 mm in length
2. Forms lower uterine segment
3. Mucosa similar to endometrium
4. Present between cervical mucosa and endometrial mucosa

Correct answer: 1. Measures 20 mm in length

Explanation: Measures 20 mm in length